Primary master cone of GP point used for obturation of root canals is defined as:
1. Cone with snug-fit
2. Cone selected by the master staff
3. Cone with loose fit
4. Cone that matches initial instruments

Correct answer: 1. Cone with snug-fit

Explanation: Following the canal preparation, select the master gutta-percha cone whose diameter is same as that of master apical file. 
One should feel the tug back (snug-fit) with master gutta-percha point.